All are derivatives of Rathkes pouch except ?
1. Pars intermedia
2. Pars tuberalis
3. Neurohypophysis
4. Pars distalis

Correct answer: 3. Neurohypophysis

Explanation: Ans. is 'c' i.e., NeurohypophysisThe derivatives of Rathke's pouch give rise to the various components of the anterior pituitary :Anterior lobePars tuberalisPars distalisPars intermedia